Catastrophic variant of Ehler Danlos syndrome is
1. I
2. II
3. III
4. IV

Correct answer: 4. IV

Explanation: Ehlers danlos syndrome comprise group of clinically and genetically heterogeneous group of disorder that result from defects in synthesis or structure of fibrillar collagen. Ref Robbin's 9th/146